All the following statements are true about transposons Except
1. Popularly known as jumping genes
2. Mobile genetic elements
3. Implicated in gene regulation and Chromatin organization
4. Modulate the translation of target mRNAs into their corresponding proteins

Correct answer: 4. Modulate the translation of target mRNAs into their corresponding proteins

Explanation: Mobile genetic elements (e.g., transposons):Remarkably, more than one-third of the human genome is composed of these elements, popularly denoted as "jumping genes." These segments can move around the genome, exhibiting wide variation in number and positioning even amongst closely related species (i.e., humans and other primates). They are implicated in gene regulation and chromatin organization, but their function is still not well established.The miRNAs do not encode proteins; instead, they function primarily to modulate the translation of target mRNAs into their corresponding proteins.Ref: Robbins and Cotran Pathologic Basis of Disease; 9th edition; Chapter 1; The genome; Page no: 2